What is ligated in Pomeroy method -
1. Spermatic cord
2. Fallopian tubes
3. Uterine artery
4. Umbilical cord

Correct answer: 2. Fallopian tubes

Explanation: Ans. is 'b' i.e., Fallopian tubes o Pomeroy's method is a method of doing tubal ligation (female sterilization)o The other procedures for female sterilization are :# Irving method# Madlener procedure# Kroener procedure# Uchida technique